You are in the eye OPD and wish to use a topical beta blocker in a patient. The chosen drug by you should have all the following properties EXCEPT:
1. Strong local anaesthetic activity
2. High lipophilicity
3. High ocular capture
4. Low systemic activity

Correct answer: 1. Strong local anaesthetic activity

Explanation: Drugs possessing local anaesthetic property increases the risk of corneal ulcers. Timolol and betaxolol are the preferred b-blockers for the treatment of glaucoma because they lack local anaesthetic activity.